Left horn of sinus venosus forms:
1. Coronary sinus
2. Smooth part of right atrium
3. Superior vena cava
4. Inferior vena cava

Correct answer: 1. Coronary sinus

Explanation: Ans. A Coronary sinusRef: Netter's Atlas of Human Embryology: 2012 ed. pg. 96Heart tube embryonic derivativesembryonic structureGives rise to* Proximal 1/3rd of bulbus cordisPrimitive trabeculated left ventricle* Middle 1/3rd of bulbus cordisRight and left ventricular outflow tract* Distal 1/3rd of bulbus cordis (truncus arteriosus)Ascending aorta and pulmonary trunk* Left horn of sinus venosusCoronary sinus* Right horn of sinus venosusSmooth part of right atrium* Right common cardinal nerve and right anterior cardinal nerveSVC (superior vena cava)